Proximal & distal renal tubular acidosis is differentiated by all except-
1. Stones in kidney
2. Hypokalemia
3. Daily acid secretion
4. Presence of Fanconi syndrome

Correct answer: 2. Hypokalemia

Explanation: Refer to the previous question no. 20(explanation was given there )